A patient on chronic use of NSAIDs has developed peptic ulcer. DOC to treat the condition is:
1. Pirenzepine
2. Loxatidine
3. Misoprostol
4. Esomeprazole

Correct answer: 4. Esomeprazole

Explanation: Proton pump inhibitors are the drugs of choice for peptic ulcer disease due to any aetiology. 
Misoprostol is the most specific drug for the treatment of PUD due to chronic NSAID use, because it is a PGE1 analogue.
PUD = Peptic Ulcer Disease.